Dose of Anti-D given to an Rh-negative ectopic pregnancy patient in first trimester is
1. 10mcg
2. 25mcg
3. 40mcg
4. 50mcg

Correct answer: 4. 50mcg

Explanation: Regardless of location, D-negative women with an ectopic pregnancy who are not sensitized to D-antigen are given IgG anti-D immunoglobulin (American College of Obstetricians and Gynecologists, 2017). In first-trimester pregnancies, a 50-mg or 300-mg dose is appropriate, whereas a standard 300-mg dose is used for later gestations Reference: William's Obstetrics; 25th edition; Chapter 19; Ectopic pregnancy